The enzyme not present in the skeletal muscles
1. Creatinine phosphokinase
2. Hexokinae
3. Phosphofructokinase
4. Glucose 6 phosphatase

Correct answer: 4. Glucose 6 phosphatase

Explanation: Glucose 6 phosphatase